Predisposing factor for esophageal cancer is all except:
1. Mediastinal fibrosis
2. Diverticula
3. Caustic alkali burn
4. HPV

Correct answer: 1. Mediastinal fibrosis

Explanation: * External beam irradiation but not mediastinal fibrosis is risk factor for esophageal cancer. * HPV DNA is found frequently in esophageal squmaous cell carcinoma in high incidence regions. OTHER RISK FACTORS PREDISPOSING TO CARCINOMA OF ESOPHAGUS: - SQUAMOUS CELL CARCINOMA: Alcohol & tobacco use Intake of nitrosamines Caustic esophageal injury Deficiency of Zn/Mo/Vit A/ Vit C Achalasia Plummer-Vinson syndrome Frequent consumption of very hot beverages Previous radiation therapy to mediastinum Esophageal diverticula Tylosis et palmaris - ADENOCARCINOMA: Barrett's esophagus